Corpora amylaciae is seen in -
1. Thymus
2. Lymph node
3. Spleen
4. Prostate

Correct answer: 4. Prostate

Explanation: Ans. is 'd' i.e., Prostate